Which of the following if seen in day 10 of life, is worrisome ?
1. Conjugated hyperbilirubinemia
2. Dolls eye reflex
3. No weight gain
4. Unconjugated hyperbilirubinemia

Correct answer: 1. Conjugated hyperbilirubinemia

Explanation: The American Academy of Pediatrics recommends that newborns be examined for jaundice during routine medical checks and at least every eight to 12 hours while in the hospital. Your baby should be examined for jaundice between the third and seventh day after birth, when bilirubin levels usually peak. If this peak extends to more days then it is worrisome. Reference: GHAI Essential pediatrics, 8th edition